In a patient with thrombotic Thrombocytopenia all of the following are seen EXCEPT
1. Anaemia
2. Neurologic features
3. Thrombocytopenia
4. Coomb's positive

Correct answer: 4. Coomb's positive

Explanation: (D) Coomb's positive # Presence of a severe Coombs-negative hemolytic anemia with schistocytes or fragmented red blood cells in the peripheral blood smear, coupled with thrombocytopenia, and minimal activation of the coagulation system help to confirm the clinical suspicion of TTP.> This disorder should be distinguished from vasculitis and SLE, which can predispose patients to TTP. Platelet-associated IgG and complement levels are usually normal in TTP.